Dose of Reteplase for management of acute MI is
1. 5 IU
2. 10 IU
3. 15 IU
4. 50 IU

Correct answer: 2. 10 IU

Explanation: Ref Harrison 19 th ed pg 758 The recommended dose for Reteplase in acute MI is 10 UNIT bolis given over 2 minutes . It is recommended to repeat the second 10 unit dose after 30 minutes . Two bolus doses given 30 minutes apart are recommended.